Which of the following operations was first described by Orringer?
1. En-bloc esophagectomy
2. Transhiatal esophagectomy
3. Thoracoscopic esophagectomy
4. Transthoracic esophagectomy

Correct answer: 2. Transhiatal esophagectomy

Explanation: Double incision: Midline laparotomy followed by cervical incision Cervical anastomosis is done MC procedure done for carcinoma esophagus